Sclerotic bodies are found in:
1. Rhinosporidiosis
2. Histoplasmosis
3. Coccidiomycosis
4. Chromoblastomycosis

Correct answer: 4. Chromoblastomycosis

Explanation: ANSWER: (D) ChromoblastomycosisREF: Jawetz, Melnick, & Adelberg's Medical Microbiology, 24TH edition, Section V. Mycology > Chapter 45See APPENDIX-25 below for list of "Medically important bodies'1"The agents of Chromoblastomycosis are identified by their modes of conidiation. In tissue they appear the same, producing spherical brown cells (4-12 m in diameter) termed muriform or sclerotic bodies that divide by transverse septation. Septation in different planes with delayed separation may give rise to a cluster of four to eight cells'1 APPENDIX - 25Few Important Bodies in Medical ScienceAschoff Bodies - Rheumatic feverAsteroid body - SarcoidosisBabes - Ernst Bodies - Metachromatic granulesBalbiani's Bodies - Yolk nucleusBamboo bodies - AsbestosisBodies of Arantius - Aortic valve nodulesBody of Highmore - Mediastinum testisBollinger bodies - FowlpoxBrassy body - Dark shrunken blood corpuscle found in malariaCall Exners bodies - Granulosa theca cell tumourChromatid bodies - Entamoeba histolytica precystCitron bodies - cl. SepticumCivatte bodies - Lichen planusCouncilman bodies - Yellow fever/viral hepatitisCoccoid X bodies - PsittacosisCreola bodies - AsthmaCystoid bodies - Degenerated retinal nerve fibres (seen in Cotton wool spots)Donnes bodies - colostrums corpusclesDonovan bodies - Granulose inguinale (LGV)Ferruginous bodies - AsbestosisGamma Gandy bodies - Congestive splenomegalyGuarneri bodies - Inclusion bodies of vacciniaHenderson Peterson bodies - Molluscum contagiosumHarting bodies - Calcospheritis in the cerebral capillariesHeinz bodies - G 6 PD deficiencyHerring bodies - NeurohypophysisHirano bodies - Alzheimer's diseaseLewy bodies - parkinsonismLevinthal coles lille bodies - PsittacosisMallory bodies - Alcoholic hepatitisMasson bodies - Rheumatic pneumoniaMichelis Guttman bodies - MalakoplakiaMooser bodies - Endemic typhusMoot bodies - Multiple myelomaNegri bodies - RabiesOdland body - KeratinosomeOken's body - MesonephrosPappenheimer bodies- Granules of iron found inside RBC on routine blood stain in sideroblastic anemia, hemolytic anemia, and sickle cell diseasePaschen bodies - vaccinia/variolaPacchonian bodies- Arachnoid granulationPick bodies - Picks diseasePsamomma bodies:papillary carcinoma of thyroidSerous cyst adenoma of ovaryMeningiomaPapillary type of renal cell carcinomaPituitary adenoma (Prolactinoma)Appendiceal carcinoid (Rarely)Reilly bodies - Hurler's syndromeRokitansky bodies - TeratomaRoss's bodies - SyphilisRush ton bodies - Odontogenic cystRussell bodies- RhinoscleromaSclerotic bodies - ChromoblastomycosisSandstorm bodies - Parathyroid glands